The renal veins are derived from which of the following?
1. Vitelline veins
2. Umbilical veins
3. Anterior cardinal veins
4. Subcardinal veins

Correct answer: 4. Subcardinal veins

Explanation: Subcardinal veins forms :- portion of IVC Renal veins Gonadal veins